All of the following manifestations are seen in cases of cerebellar damage in human beings except
1. Loss of non-declarative/reflexive memory
2. Loss of adjustment of vestibulo-ocular reflex
3. Static tremor and rigidity
4. Ataxia, atonia and asthenia

Correct answer: 3. Static tremor and rigidity

Explanation: (C) Static tremor and rigidity > Clinical abnormalities of cerebellum Dysmetria and ataxia Past pointing Failure of progression> Dysdiadochokinesia Dysarthria Intention tremor Cerebellar nystagmus Rebound--Due to loss of the cerebellar component of the stretch reflex. Hypotonia> Note: Static tremor and rigidity are features of basal ganglia.